Phase II block is seen in –
1. Sexamethonium (Sch)
2. d–TC
3. Ether
4. N2O

Correct answer: 1. Sexamethonium (Sch)

Explanation: Succinylcholine produces Dual block i.e. phase I and phase II.